Muscle relaxant of choice in hepatic and renal failure:
1. Cisatracurium
2. Rocuronium
3. Vecuronium
4. Rapacuronium

Correct answer: 1. Cisatracurium

Explanation: Cisatracurium